An osteolytic mass over the iliac bone showing mottled popcorn calcifications in a 45 year old male suggests?
1. Osteosarcoma
2. Chondrosarcoma
3. Metastasis
4. Osteoclastoma

Correct answer: 2. Chondrosarcoma

Explanation: Popcorn Calcification on Iliac Bone(Flat Bone)-CHONDROSARCOMA